Addison's disease is characterized by all except
1. Hyperglycemia
2. Hypotension
3. Hyperkalemia
4. hyponatremia

Correct answer: 1. Hyperglycemia

Explanation: Ref - Davidson's medicine20e p672 ( Harrison 17 pg 2263)